Direct bronchoscopy can visualize all except:
1. Trachea
2. Vocal cords
3. First segmental subdivision of branch
4. Subcarinal lymph nodes

Correct answer: 4. Subcarinal lymph nodes

Explanation: Ans. is 'd' i.e. Subcarinal lymph nodes Subcarinal lymph nodes are not visualized by bronchoscopy (quite obviously). However transbronchial needle aspiration of subcarinal lymph node can be done, even without its direct visualization. It can be visualized using endoscopic ultrasound.